A most common complication of extracapsular cataract surgery is –
1. Retinal detachment
2. Opacification of posterior capsule
3. Vitreous haemorrhage
4. None

Correct answer: 2. Opacification of posterior capsule

Explanation: "Opacification of the posterior capsule caused by the proliferation of cells in capsular bag remains the most frequent complication of ECCE and IOL surgery". _____ Vajpayee